Gastro-esophageal tear is best detected with:
1. CT
2. Angiography
3. UGI endoscopy
4. Barium swallow

Correct answer: 3. UGI endoscopy

Explanation: Endoscopy technique is the procedure of choice for both diagnosis and therapy of these lesions. Endoscopic diagnosis of a Mallory-Weiss tear is readily made by identifying active bleeding, an adherent clot, or a fibrin crust over a mucosal split within or near the gastroesophageal junction. A contact thermal modality, such as multipolar electrocoagulation (MPEC) or heater probe, with or without epinephrine injection, is typically used to treat an actively bleeding Mallory-Weiss tear . Angio-therapy with either selective vasopressin infusion or embolization of the left gastric artery can be performed in patients whose lesions have failed to respond to endoscopic therapy or who are at high risk of endoscopic complications